The drug not used in acute asthma is :
1. Salbutamol
2. Ipratropium
3. Montelukast
4. Hydrocortisone

Correct answer: 3. Montelukast

Explanation: Only bronchodilator drugs are useful for the treatment of an acute attack of asthma. Main drugs are:
Beta 2 agonists e.g. salbutamol, terbutaline
Anticholinergics e.g. ipratropium, tiotropium
Methylxanthines e.g. theophylline
Other drugs used for asthma (like mast cell stabilizers, leukotriene receptor antagonists and lipoxygenase inhibitors) are indicated only for prophylaxis.